Maxwell Lyon sign is seen in:
1. Spring catarrh
2. Dendritic ulcerative keratitis
3. Symphathetic ophthalmitis
4. Angular conjunctivitis

Correct answer: 1. Spring catarrh

Explanation: Spring catarrh